14 year old girl with history of abdominal pain (periumbilical), postprandial, passing blood in stools, fever, weight loss since ten months. She also has episodes of passing blood in stools. What may be the likely diagnosis?
1. Chronic appendicitis
2. Chronic pancreatitis
3. Crohn's disease
4. Bulimia

Correct answer: 3. Crohn's disease

Explanation: Ans. is 'c' i.e., Crohn's disease